Primary Receptor for Human Immunodeficiency Virus (HIV) is:
1. CD4
2. CD8
3. CD3
4. CD56

Correct answer: 1. CD4

Explanation: HIV targets cells that express CD4, and can infect macrophages, dendritic cells (both groups express CD4 at low levels) and CD4+ T cells. Ref: Andrew E. Williams, "Immunology of Urogenital Tract and Conjunctiva", In the book, "Immunology: Mucosal and Body Surface Defences", USA, Wiley Blackwell Publications, Chapter 9.1; Harrison's Principles of Internal Medicine, 17th Edition, Pages 1139, 1157; Textbook of Microbiology By Ananthnaraynan, 7th Edition, Page 586